Plasma cell dyscariasis include all the following except
1. Waldenstorms macroglobulinemia
2. Heavychain disease
3. Monoclonal gammopathy
4. Systemic lupus erythematosus

Correct answer: 4. Systemic lupus erythematosus

Explanation: Plasma cell dyscariasis are characterized by proliferation of B cells clone which synthesis and secretes a single homogenous immunoglobulins or its fragments.This entity includes Multiple myeloma ,Waldenstroms macroglobulinemia ,Heavy chain diseases,Primary or immunocyte associated amyloidosis and monoclonal gammopathy of undetermined significance.( ref Robbins 7th/678-679)